Goat's milk ingestion predisposes to deficiency of:
1. Iron
2. Folate
3. Vitamin B12
4. All of the above

Correct answer: 2. Folate

Explanation: Goat's milk is less allergenic and contains more potassium and less sodium as compared to cow's milk. However goat's milk predisposes to folate deficiency and brucellosis. Ref: Nutrition and Child Development, K.E. Elizabeth, 4th edition pg: 25